Recommended level of fluoride in drinking water?
1. 0.2-0.5 mg/L
2. 0-5-0.8 mg/L
3. 0.8-1.2 mg/L
4. 1.2-2.0 mg/L

Correct answer: 2. 0-5-0.8 mg/L

Explanation: Ans. is 'b' i.e., 0.5 - 0.8 mg/L The recommended level of fluoride in drinking water in the country is accepted as 0.5 to 0.8 mg/ Liter. -Park Maximum permissible limit is 1.5 mg/Lit.